Features of hypothyroidism in infancy include the following except-
1. Premature closure of posterior fontanelle
2. Coarse facies
3. Umbilical hernia
4. Constipation

Correct answer: 1. Premature closure of posterior fontanelle

Explanation: Ans. is 'a' i.e., Premature closure of posterior fontanelle o There is delayed closure of posterior fontanelle.